Low osmolar ORS composition?
1. Na 90 + 311 mOsmol/L
2. Na 75 + 245 mOsmol/L
3. Na 60 + 245 mOsmol/L
4. Na 60 + 240 mOsmol/L

Correct answer: 2. Na 75 + 245 mOsmol/L

Explanation: Component Low Osmolarity WHO ORS (mEq/L) Glucose 75 Sodium 75 Potassium 20 Chloride 65 Citrate 10 Osmolarity 245